Difference between contusion and post-mortem lividity is that post-mortem lividity
1. Shows sequential color change
2. Easily washable
3. Shows diffuse irregular margins
4. Has raised enzyme levels

Correct answer: 2. Easily washable

Explanation: The synopsis of forensic medicine & toxicology; Dr k.s Narayan reddy; 28th edition;pg.no. 88; 
Contusion or bruises are not washable but postmortem lividity is washable.